All of the following immunosuppressives cause profound myelosuppression except-
1. Sirolimus
2. Cyclosporine
3. Azathioprine
4. Mercaptopurine

Correct answer: 2. Cyclosporine

Explanation: Pharmacokinetics, mechanism of action, clinical efficacy in organ transplants, adverse effects, and dosage and administration of cyclosporine, a new immunosuppressant, are reviewed .Cyclosporine acts by blocking T-lymphocyte function without causing myelosuppression Ref Harrison 20th edition pg 578